In Troisiers sign the lymph nodes involved are
1. Right axillary nodes
2. Left axillary nodes
3. Right supraclavicular nodes
4. Left supraclavicular nodes

Correct answer: 4. Left supraclavicular nodes